Which of the following pigment is only produced by Psedomonas aeruginosa?
1. Pyoverdin
2. Pyorubin
3. Pyocyanin
4. Pyomelanin

Correct answer: 3. Pyocyanin

Explanation: Pseudomonas produces a number of pigments which diffuse freely into surrounding, inhibit other bacteria and mediate tissue injury. Pyocyanin is a blue green pigment produced only by P. aeruginosa